The best time of extraction in pregnancy is
1. First trimester
2. Second trimester
3. Third trimester
4. None of these

Correct answer: 2. Second trimester